ECG changes in hyperkalemia are all except
1. Slender peaked T waves
2. Depressed ST-segment
3. QRS complex is slurred
4. Wide QRS

Correct answer: 2. Depressed ST-segment

Explanation: In Hypokalemia (plasma K+ +-3.5 meq/L) ST-segment depression is seen;Hyperkalemia (plasma K+ +-7.0 meq/L). The PR and QRS intervals are within normal limits. Very tall, slender peaked T waves are now present.Hyperkalemia (plasma K+ +-8.5 meq/L). There is no evidence of atrial activity; the QRS complex is broad and slurred and the QRS interval has widened to 0.2 s. The T waves remain tall and slender. Further elevation of the plasma K+ level may result in ventricular tachycardia and ventricular fibrillation.